All are true about Yaws except
1. Caused by Treponema pertenue
2. Transmitted non-venerally
3. Later stages involve heart and nerves
4. Secondary Yaws can involve bones

Correct answer: 3. Later stages involve heart and nerves